Boundaries of quadrilateral space include all except?
1. Teres major
2. Long head of triceps
3. Neck of humerus
4. Deltoid

Correct answer: 4. Deltoid

Explanation: Deltoid